Malnutrition is assessed clinically by:
1. Mid arm circumference
2. Weight for age
3. Body mass index
4. All of the above

Correct answer: 4. All of the above

Explanation: Ans. D: All of the above Nutritional status is assessed through a simple, mainly clinical approach based on medical history, physical examination, anthropometric measurements, dietary intake, body composition and biological parameters. Growth is the best indicator of nutritional status. Analysis of growth (weight gain and growth velocity) using growth curves remains the simplest tool for assessing changes in nutritional status. Other anthropometric indices used for the assessment of nutritional status are body mass index, skinfold thickness and mid-arm circumference (MAC).